All are minor Jones Criteria except ?
1. Ahragia
2. Fever
3. Prolonge PR Interval
4. Chorea

Correct answer: 4. Chorea

Explanation: Jones minor criteria include arthralgia,prolonged PR interval,fever. Ref : Ghai essential of pediatrics, eighth edition, p.no:434